Stress is defined as:
1. An applied load or force
2. A deformation resulting from an applied load
3. An external force opposing an applied load
4. An internal force opposing an applied load

Correct answer: 4. An internal force opposing an applied load

Explanation: Stress—Force per unit area within a structure subjected to a force or pressure.
Pressure—Force per unit area acting on the surface of a material.
Phillips dental materials 12th edition page no 48